Drug with high plasma protein binding have
1. Short duration of action
2. Less drug interaction
3. Lower volume of distribution
4. All of the above

Correct answer: 3. Lower volume of distribution

Explanation: Ref-KDT 6/e p22 Plasma protein binding causes restriction of drugs in the vascular compartment and thus lower volume of distribution. Longer duration of action - as the protein-bound fraction is not available for metabolism ofexcretion. Plasma protein bound drugs tend to have more drug internactions due to displacement of a drug with lower affnity by a drug ywith higher affinity for plasma proteins. Hypoalbuminemia can lead to high concentration of free drug and thus drug toxity.